The amount of blood lost in GIT to produce a single black stool is approximately
1. < 20 ml
2. 30-40 ml
3. 60-70 ml
4. 100-110 ml

Correct answer: 3. 60-70 ml

Explanation: approximately 60 ml of blood is required to produce a single black stool